Coxsackie A virus does not cause ?
1. Herpangina
2. Hand, foot and mouth disease (HFM)
3. Laryngotracheobronchitis
4. Aseptic meningitis

Correct answer: 3. Laryngotracheobronchitis

Explanation: Ans. is 'c' i.e., Laryngotracheobronchitis